Healthy thinking includes all of the following except:
1. Continuity
2. Constancy
3. Organization
4. Clarity

Correct answer: 4. Clarity

Explanation: Healthy thinking has three characteristics (1) Continuity (2) Organization and (3) Constancy. According to Kurt Schneider, there are three features of healthy thinking: *Constancy: Constancy of a thought means that a thought persists, until it is replaced by another thought * Organisation:Organisation means that there is a connection between various components of a single thought and between the consecutive thoughts * Continuity: Continuity of the thought refers to the fact that the thoughts are arranged in a proper order and in a continuum